Enzyme  responsible  for  complete  oxidation  of glucose to CO2 and water is present in:
1. Cytosol
2. Mitochondria
3. Lysosomes
4. Endoplasmic reticulum

Correct answer: 2. Mitochondria

Explanation: Under aerobic conditions, pyruvate is taken up into mitochondria, and after oxidative decarboxylation to acetyl-CoA is oxidized to CO2 by the citric acid cycle.
Under anaerobic conditions, pyruvate is reduced by  the  NADH  to  lactate,  catalyzed  by  lactate dehydrogenase.

Harper 30th edition pg-162